All of the following are true about mitral valve prolapse, except
1. Commonly associated with marfan's syndrome
2. Valve leaflets show myxomatous changes
3. Majority of cases present with mitral regurgitation
4. Also known as Barlow syndrome

Correct answer: 3. Majority of cases present with mitral regurgitation

Explanation: MItral valve prolapse is generally asymptomatic.